A 9 year-old girl presents with an annular plaque on the arm with peripheral scale. Topical nystatin ointment is prescribed and 2 weeks later the rash is unchanged. What is the next best step?
1. Start appropriate antifungal with efficacy against dermatophytes.
2. Start an oral antibiotic
3. Topical corticosteroid
4. Longer course of nystatin

Correct answer: 1. Start appropriate antifungal with efficacy against dermatophytes.

Explanation: Characteristic lesions on arm with annular plaque and peripheral scaling is seen in dermatophyte infection Treatment involves the use of oral terbinafine, fluconazole, itraconazole, griseofulvin or one of several well-tried topical preparations.